which of the following is not used for tardive dyskinesia
1. fluphenazine
2. clozapine
3. vitamin E
4. quetiapine

Correct answer: 1. fluphenazine

Explanation: TREATMENT Benztropine Benzodiazepine Vitamin E Ondansean clozapine Ref. kaplon and Sadock, synopsis of psychiatry, 11 th edition, pg no. 925